Vector-borne diseases are all except
1. Epidemic typhus
2. Japanese encephalitis
3. Tetanus
4. Dengue

Correct answer: 3. Tetanus

Explanation: Vector borne diseases Ref: Park 25th edition Pgno : 817